Which of the following is best method for paternity testing
1. Karyotyping
2. Microsatellite analysis
3. Northern blot analysis
4. All of the above

Correct answer: 2. Microsatellite analysis

Explanation: Paternity testing is most often.
Performed by utilising PCR probes that amplity microsatellite repeats.
The pattern of repeats is compared between mother, child, father.